Shigellosis is best diagnosed by:-
1. Stool examination & culture
2. Serology
3. Sigmoidoscopy
4. Enzyme

Correct answer: 1. Stool examination & culture

Explanation: Shigellosis is best diagnosed by Stool examination & culture. Option 1 1. Stool is the specimen of choice. Diagnosis of shigellosis is made by isolating Shigella spp. from feces. Fresh feces are inoculated without delay or transported in a suitable medium, such as Sachs' buffered glycerol saline. Also, rectal swabs may be taken from the site of ulcer by sigmoidoscopy. Option 3 - Sigmoidoscopy: It can reveal the extent of the disease. Option 4 - For diagnosis of Shigellosis: we don't detect any enzyme.